Stimulation of baroreceptors results in
1. Increase in heart rate
2. Decreased vagal discharge
3. Increased sympathetic discharge
4. Decrease in blood pressure

Correct answer: 4. Decrease in blood pressure